Neck holding comes at what age -
1. 2 months
2. 3 months
3. 4 months
4. 5 months

Correct answer: 2. 3 months

Explanation: Ans. is 'b' i.e., 3 month AgeMilestone3 monthNeck holding5 monthRolls over6 monthSit with support8 monthSit without support9 monthStand with support12 monthStand without support Walk with support15 monthWalk alone, creep upstair